Louis Pasteur is NOT associated with?
1. Vaccination of small pox
2. Germ theory
3. Vaccination of rabies
4. Pasteurization

Correct answer: 1. Vaccination of small pox

Explanation: Works of Louis Pasteur Germ theory of fermentation Sterilisation techniques: steam steriliser, hot air oven and autoclaving Vaccination against anthrax, rabies, cowpox and chickenpox. Technique of pasteurization Ref: Ananth Narayan 7/e, Page 5-7